All of the following are spermicidal agents, EXCEPT?
1. Nonoxynol-9
2. Octoxynol-9
3. Menfegol
4. Foscarnet

Correct answer: 4. Foscarnet

Explanation: Spermicides Contraceptive chemical agents. Commonly used spermicidal agents contain non-ionic surfactants that alter sperm surface membrane permeability, causing osmotic changes resulting in the killing of sperms. Most spermicides contain nonoxynol-9, which is best for the purpose. Their main role is to improve the contraceptive effect of other barrier methods. They are mostly used along with diaphragms, cervical caps, and condoms. Spermicidal agents nowadays contain nonoxynol-9. A few products contain octoxynol-9 and menfegol. Gossypol is amale contraceptive pill Its not a spermicidal but instead inhibits spermatogenesis. Foscarnet is an antiviral drug